Drug of choice for NSAID induced peptic ulcer disease is
1. Pirenzapine
2. Omeprazole
3. Cimetidine
4. Misoprostol

Correct answer: 2. Omeprazole

Explanation: Misoprostol is the most specific drug for NSAIDS induced peptic ulcer but it is not the drug of choice for any ulcer. DOC for all types of peptic ulcer including NSAIDs induced peptic ulcer are proton pump inhibitors.